The following factors impair wound healing except
1. Diabetes mellitus
2. Glucocorticoids
3. Vitamin C deficiency
4. Clot formation

Correct answer: 4. Clot formation

Explanation: Ans. (d) Clot formation(Ref: Robbin's 9th ed/pg 106)Factors Impairing HealingInfectionDiabetesprotein deficiency, vitamin C deficiency Glucocorticoids (steroids)Mechanical factors such as increased local pressure or torsion may cause wounds to dehiscePoor perfusion, due either to arteriosclerosis and diabetes or to obstructed venous drainage (e.g., in varicose veins) Foreign bodiesBlood clot formation is the earliest event in wound repair